Most common complication of surgery in lithotomy position
1. Damage to lower limb nerves
2. Damage to upper limb nerves
3. Hypotension
4. Distal gangrene

Correct answer: 1. Damage to lower limb nerves

Explanation: Ans) a (Damage to low...) Ref: Complications of Urologic Surgery, style="font-size: 1.04761904761905em; font-family: Times New Roman, Times, serif; margin: 0 0 0 8px; text-indent: 0">Standard lithotomy position requires the patients' legs to be separated from the midline into 30 to 45 degrees of abduction, with the hips flexed until the thighs are angled between 80 and 100 degrees. The patient's legs are placed into stirrups, with the knees bent such that the lower legs are parallel to the plane of the torso. The lithotomy position is used for a variety of open and endoscopic urologic procedures. Therefore, an under- standing of potential postoperative complications related to this position is essential to the care of these patients. In addition to neurologic complications, which are discussed here, other complications that have been reported after procedures in the lithotomy position include lower extremity compartment syndrome, venous thrombosis, and rhabdomyolysis.